The following test may be abnormal in DIC, except:
1. PT
2. APTT
3. D-dimer
4. Clot solubility

Correct answer: 4. Clot solubility

Explanation: Disseminated intravascular coagulation (DIC) acquired disorder characterised by: Widespread systemic activation of coagulation with formation of microthrombi in small blood vessels Bleeding diathesis secondary to depletion of coagulation factors and platelets Causes of DIC: Sepsis or severe infections Trauma especially of brain or crush injury Obstetric conditions: amniotic fluid embolism, abruptio placentae, septic abortion, eclampsia, intrauterine retention of dead foetus Disseminated solid cancers, acute promyelocytic leukemia Severe haemolytic transfusion reactions Thermal injury- heat stroke, extensive burns Snake bite e.g: Russell's viper7 Giant haemangioma (Kasabach-Merritt syndrome) C/F Brain - mc affected confusion , altered sensorium , dizziness , coma Heart - |CO / dyspnea Kidney - Acute tubular necrosis Lungs - Difficulty in breathing , hypoxemia Adrenal Gland - Hemorrhage - Waterhouse- friderichsen syndrome Lab findings- Anaemia and thrombocytopenia |LDH | Unconjugated bililrubin Peripheral Smear shows Shistiocytes Prolonged BT , PT and APTT FDP and D-dimer: Increased.